Pencil in cup deformity is seen in ?
1. Rheumatoid arthritis
2. Ankylosing spondylitis
3. AVN
4. Psoriatic arthritis

Correct answer: 4. Psoriatic arthritis

Explanation: Ans. is `4:1' i.e., Psoriatic arthritis Important